Which of the following is true regarding Singer’s nodule?
1. Laser therapy is treatment of choice
2. Requires excision as it is potentially malignant
3. Most common symptom is pain
4. It occurs at junction of anterior 1/3rd and posterior 2/3rd

Correct answer: 4. It occurs at junction of anterior 1/3rd and posterior 2/3rd

Explanation: Ref. Diseases of Ear, Nose and Throat. Pg 229
 
Vocal nodule
Singer`s/Teacher`s/Screamer`s/Clergyman`s nodule

 

Caused by vocal abuse
Location- Bilateral at junction of anterior and middle third of vocal cord
Treated by speech therapy,Proton pump inhibitors or Microlaryngeal excision